Neurotrophic keratopathy is caused by -
1. Bell's palsy
2. Facial and trigeminal nerve palsy both
3. Trigeminal nerve palsy
4. All of the above

Correct answer: 3. Trigeminal nerve palsy

Explanation: Neuroparalytic keratitis occurs due to paralysis of the sensory nerve supply of the cornea. Causes I.Congenital 1.Familial dysautonomia (Riley-Day syndrome) 2.Congenital insensitivity to Pain. 3.Anhidrotic ectodermal dysplasia. II.Acquired 1.Following alcohol-block or electrocoagulation of Gasserian ganglion or section of the sensory root of trigeminal nerve for trigeminal neuralgia. 2.A neoplasm pressing on Gasserian ganglion. 3.Gasserian ganglion destruction due to acute infection in herpes zoster ophthalmicus. 4.Acute infection of Gasserian ganglion by herpes simplex virus. 5.Syphilitic (luetic) neuropathy. 6.Involvement of corneal nerves in leprosy. 7.Injury to Gasserian ganglion Reference:Comprehensive ophthalmology,AK Khurana,4th edition,page no.107